Middle piece of sperm tail made up of
1. Golgibody
2. Centriole
3. Mitochondria
4. Lysosome

Correct answer: 3. Mitochondria

Explanation: Part of axial filament which lies in middle piece is surrounded a spiral sheath made up of mitochondria Human embryology Tenth edition Pg no19